Glycine provides all in purine synthesis except
1. Carbon-4
2. Carbon-5
3. Nitrogen-4
4. Nitrogen-7

Correct answer: 3. Nitrogen-4

Explanation: Amino group of aspartate provide N1 Formyl THFA - C2 Amide N of glutamine - N3 and N9 glycine- C4 C5 C7 respiratory Co2- C6 Methenyl THFA -C8 Ref-Harpers illustrated biochemistry 30/e p849